H.I.V. periodontitis is
1. diagnostic of H.I.V. infection
2. characterized by remissions and exacerbations
3. characterized by necrosis and periodontal destruction
4. periodontitis is not seen in H.I.V. infection

Correct answer: 3. characterized by necrosis and periodontal destruction